Superficial perineal space contains -
1. Membranous urethra
2. Artery of penis
3. Bulbourethral gland
4. Urethral artery

Correct answer: 4. Urethral artery

Explanation: Ans. is 'd' i.e., Urethral artery o Repeat from All India Dec-15